First commissure to develop ?
1. Corpus callosum
2. Anterior commissure
3. Hippocampus
4. None of the above

Correct answer: 2. Anterior commissure

Explanation: Ans. is 'b' i.e., Anterior commissure